FEVI/FVC Is decreased in?
1. Ashtma
2. Kyphosis
3. Scoliosis
4. Fibrosis

Correct answer: 1. Ashtma

Explanation: Obstructive diseases like asthma is characterised by increased lung volumes like TLC,FRC and. RV,and reduced expiratory volumes like FEV1,FVC,FEV1/FVC ratio.Restrictive diseases like kyphoscoliosis and fibrosis are characterised by lowered lung volumes like TLC,FRC,and RV,as well as FVC & FEV1.But the expiratory volumes are relatively elevated when considered in relation to lung volumes,thereby normal or increased FEV1/FVC ratio. Reference:Harrison's medicine-18th edition,page no:2083/